Incisional wound on genital is commonly associated with:
1. Accidents
2. Suicides
3. Homicides
4. Postmortem artifact

Correct answer: 3. Homicides

Explanation: Incised wound on the nose, ears and genitalia are mostly homicidal and indicate vengeance or sexual jealousy. Suicidal wounds: They are located on the front of the body on approachable parts and usually affect vital area. They are usually incised, punctured or firearm injuries. Defence wounds: They are present on the back of fingers, palm, forearm, back of hands, wrists, or between fingers. Defence wound denotes attempt to murder. Incised wounds: They are seen on face, ears or genitalia. Ref: Forensic Medicine By P.V. Guharaj page 162, Concise Textbook Of Forensic Medicine & Toxicology By Sharma PAGE 100.